Porosity in amalgam increases because of all except-
1. Undertrituration
2. Undercondensation
3. Regularly shaped particles
4. Insertion of too large increment

Correct answer: 3. Regularly shaped particles

Explanation: Porosity can be expected and increased by undertrituration, undercondensation, irregularly shaped particles of alloy powder, miscalculated diameter varieties of powder particles to occupy available spaces, insertion of too large increments into the cavity preparation, delayed insertion after trituration or a generally non-wetting, non-plastic mass of amalgam.
Reference: Marzouk Operative dentistry, pg-109